SAFE strategy has been developed for the control of:
1. Diabetic retinopathy
2. Ocular trauma
3. Trachoma
4. Refractive errors

Correct answer: 3. Trachoma

Explanation: The SAFE Strategy is an innovative public health approach designed to treat and prevent trachoma. Endorsed by the World Health Organization, the components of SAFE are Surgery for trichiasis Antibiotics Facial cleanliness Environmental improvement Ref: